What is the volume of each orbit?
1. 40ml
2. 30ml
3. 50ml
4. 35ml

Correct answer: 2. 30ml

Explanation: Vol of each orbit= 30ml Vol of each eyeball=6ml Globe suspended by 7 attachments( 6 muscles and 1 nerve) Angle b/w lateral walls=90o Angle b/w lateral and medial walls=45o